Barrett's oesophagus is -
1. Lower oesophagus lined by columnar epithelium
2. Upper oesophagus lined by columnar epithelium
3. Lower oesophagus lined by ciliated epithelium epithelium
4. Lower oesophagus lined by ciliated epithelium

Correct answer: 1. Lower oesophagus lined by columnar epithelium

Explanation: Ans. is 'a i.e., Lower esophagus lined by columnar ephithelium Barrett's esophagus Is metaplastic change ,of gastro esophageal mucosa from normal squamous epithelium to columanar epithelium, in response to chronic gastro -esophageal reflux. o The function between squamous esophageal mucosa and gastric mucosa moves proximally . o Three types of columnar epithelium have been described in Barrett's esophagus : (i) Intetinal type -the most common type (ii) The junctional type and (iii)The gastiric fundic type o Barrett's esophagus is a premalignant codition for adenocarcinoma esophagus o The hallmark of inestinal metaplasia is the presence of intestinal goblet cells.